Intravenous inducing agent with maximum plasma protein binding
1. Thiopental
2. Ketamine
3. Etomidate
4. Propofol

Correct answer: 4. Propofol

Explanation: Ans. is 'd' i.e., Propofol Intravenous inducing agent Protien binding (%) Thiopental 85% Methhexital 85% Propofol 98% Etomidate 75% Ketamine 12%